Which of the following drugs hyperpolarizes AV nodal tissue, is used in PSVT and has short lasting adverse effects ?
1. Verapamil
2. Digoxin
3. Adenosine
4. Propranolol

Correct answer: 3. Adenosine